Smallpox vaccine was discovered by:
1. Edward Jenner
2. Louis pasteur
3. Salk
4. Sabin

Correct answer: 1. Edward Jenner

Explanation: Ans: a (Edward Jenner) Ref:Ananthanarayan, ed, p. 457Early live vaccine such as Jenner's pox vaccine, were developed emperically from natural viruses.Sabin's name is related to oral polio vaccine.Salk's name is related to killed polio vaccine.This is a question based on historic importance.